Translocation is necessary for
1. Initiation of codon
2. Binding of mRNA to ribisomes
3. Finding of proteins
4. Elongation of proteins

Correct answer: 4. Elongation of proteins

Explanation: tRNA fixed at the p site does not carry any amino acid and is therefore released from the ribosomeThen the whole ribosome moves over mRNA through the distance of one codon. The peptidyl tRNA is translocated to the P Site; this done with the help of elongation factor 2Translocation requires hydrolysis of GTP TO GDPRef: DM Vasudevan, 7th edition, page no: 601, 602